Features of vernal conjunctivitis are:
1. Shield ulcer
2. Horner-Tranta's spots
3. Papillary hypertrophy
4. All

Correct answer: 4. All

Explanation: Ans. A, B and C